Common cause of retained placenta:
1. Atonic uterus
2. Constriction ring
3. Placenta accreta
4. Poor voluntary expulsive effort

Correct answer: 1. Atonic uterus

Explanation: Ans. is a, i.e. Atonic uterusRef. JB Sharma Obs, Pg 343M/C cause of retained placenta is a simply adherent placenta. This is due to mainly atonic uterus.